The following drug is used for the treatment of type II lepra reaction, except -
1. Chloroquine
2. Thalidomide
3. Cyclosporine
4. Corticosteroid

Correct answer: 3. Cyclosporine